Which of the following is a nonsedative anxiolytic
1. Buspirone
2. Hydroxyzine
3. Chlorpromazine
4. Alprazolam

Correct answer: 1. Buspirone

Explanation: Buspirone:- It is the first azapirone, a new class of antianxiety drugs. Buspirone * Does not produce significant sedation or cognitive/functional impairment. * Does not interact with BZD receptor or modify GABAergic transmission. * Does not produce tolerance or physical depen dence. * Does not suppress BZD or barbiturate with- drawal syndrome. * Has no muscle relaxant or anticonvulsant activity. Buspirone relieves mild-to-moderate genera lized anxiety, but is ineffective in severe cases. mechanism of anxiolytic action:- It is dependent on its selective partial agonistic action on 5-HT1A receptors. By stimulating presynaptic 5-HT1A autoreceptors, it reduces the activity of dorsal raphe serotonergic neurones. Ref:-kd tripathi; pg num:-466,467